Which of the following is not a part of fatty acid synthase Complex?
1. Ketoacyl reductase
2. Enoyl reductase
3. Acetyl-CoA carboxylase
4. Ketoacyl synthase

Correct answer: 3. Acetyl-CoA carboxylase

Explanation: Ans. C. Acetyl-CoA carboxylase(Ref: Harper 31/e page 217)Fatty Acid Synthase (FAS) Multienzyme ComplexThe complex is a homodimer of two identical polypeptide monomers in which six enzyme activities and the acyl carrier protein (ACP)ACP contains the vitamin pantothenic acid in the form of 4'-phosphopantetheineX-ray crystallography of the three-dimensional structure, shown that the complex is arranged in an X shapeAcetyl-CoA carboxylase is not a part FAS ComplexQ.